Folinic acid is specifically indicated for
1. Anaemia associated with renal failure
2. Pernicious anaemia
3. Counteracting toxicity of high dose methotrexate
4. Prophylaxis of neural tube defect in the offspring of women receiving anticonvulsant medication

Correct answer: 3. Counteracting toxicity of high dose methotrexate

Explanation: Methotrexate toxicity:- Folinic acid (Leucovorin, citrovorum factor, 5-formyl-THFA) is an active coenzyme form which does not need to be reduced by DHFRase before it can act. Methotrexate is a DHFRase inhibitor; its toxicity is not counteracted by folic acid, but antagonized by folinic acid. Ref:- kd tripathi; pg num:-611